Posterior communicating artery is branch of -
1. Internal carotid artery
2. External carotid artery
3. Middle cerebral artery
4. Posterior cerebral artery

Correct answer: 1. Internal carotid artery